The systolic blood pressure of 10 individuals was measured. The mean and median values were calculated to be 130 mmHg and 140 mmHg respectively. What is the shape of the frequency distribution curve?
1. Symmetrical distribution
2. Bimodal distribution
3. Positively skewed distribution
4. Negatively skewed distribution

Correct answer: 4. Negatively skewed distribution

Explanation: A negatively skewed distribution is where most of the values are on the higher side and the tail is pointing left. The mean of a distribution is more affected by extreme values than is the median. Therefore, in a negatively skewed distribution with few values on the lower end of the distribution, the mean is pulled towards the tail or lower end and becomes less than the median. Ref: Park's Textbook Of Preventive And Social Medicine, By K. Park, 19th Edition, Pages 699-702; Essentials of Research Methods in Health, Physical Education, Exercise Science and Recreation, By Kris E. Berg, Richard W. Latin, Second Edition, Pages 85-87; High-Yield Biostatistics, By Anthony N. Glaser, Third Edition, Pages 10, 11.